Investigation of choice to diagnose epilepsy is:
1. MRI
2. EEG
3. CT scan
4. Angiogram

Correct answer: 2. EEG

Explanation: Ans: bRef: Harrison, 16thed, p. 2363- 2364